Whole skull is used to calculate:
1. Cephalic index
2. Nasal index
3. Crural index
4. Brachial index

Correct answer: 1. Cephalic index

Explanation: Ans. Cephalic index